Stellwag'sign is:
1. Absence of normal winking.
2. Failure of convergence of eye balls.
3. Exophthalmos.
4. None.

Correct answer: 1. Absence of normal winking.